Persistent organ failure in the setting of acute pancreatitis is defined, when the organ failure lasts for more than:
1. 12 hours
2. 24 hours
3. 48 hours
4. 72 hours

Correct answer: 3. 48 hours

Explanation: The determinant of the severity of acute pancreatitis during the early phase is the presence and duration of organ failure, if organ failure persists for >48 h. Ref: Gut 2013;62:102-111. doi:10.1136/gutjnl-2012-302779.